The expression of the following oncogene is associated with a high incidence of Medullary carcinoma of thyroid
1. P53
2. Her 2 neu
3. RET proto oncogene
4. Rbl gene

Correct answer: 3. RET proto oncogene

Explanation: (C) RET proto oncogene # p53 (also known as protein 53 or tumor protein 53), is a tumor suppressor protein that in humans is encoded by the TP53 gene.p53 is crucial in multicellular organisms, where it regulates the cell cycle and, thus, functions as a tumor suppressor that is involved in preventing cancer. As such, p53 has been described as "the guardian of the genome", the "guardian angel gene", and the "master watchman", referring to its role in conserving stability by preventing genome mutation.> HER2/neu (also known as ErbB-2) stands for "Human Epidermal growth factor Receptor 2" and is a protein giving higher aggressiveness in breast cancers. It is a member of the ErbB protein family, more commonly known as the epidermal growth factor receptor family. HER2/neu has also been designated as CD340 (cluster of differentiation 340) and p185. It is encoded by the ErbB2 gene.> Both familial and sporadic medullary forms demonstrate activating RET mutations. Sporadic medullary carcinomas, as well as FMTC, occur in adults, with a peak incidence in the fifth to sixth decades.> In humans, the protein is encoded by the RB1 gene located on 13q14.1-q14.2. If both alleles of this gene are mutated early in life, the protein is inactivated and results in development of retinoblastoma cancer, hence the name Rb